Most common adverse effect of colchicine -
1. Diarrhoea
2. Peptic ulcer
3. Dyspepsia
4. Pulmonary fibrosis

Correct answer: 1. Diarrhoea

Explanation: Ans. is 'a' i.e., diarrhoea "Nausea, vomiting, diarrhea and abdominal pain are the most common untoward effects of colchicine". - Goodman & Gilman